Bacteria most frequently cultured in the setting of emphysematous cholecystitis is:
1. Clostridium
2. Streptococcus
3. Salmonella
4. Klebsiella

Correct answer: 1. Clostridium

Explanation: Bacteria most frequently cultured in emphysematous cholecystitis include anaerobes, such as C. welchii or C. perfringens, and aerobes, such as E. coli. This condition occurs frequently in elderly men and in patients with diabetes mellitus. Reference: Harrisons Principles of Internal Medicine, 18th Edition, Page 2622